A linear pattern of immunoglobulin deposition along the glomerular basement membrane that can be demonstrated by immunofluorescence is typical of
1. Lupus nephritiS
2. Diabetic glomerulopathy
3. Goodpasture's syndrome
4. Renal vein thrombosis

Correct answer: 3. Goodpasture's syndrome

Explanation: In Goodpasture's syndrome, circulating antibodies reactive with the glomerular basement membrane bind in a linear pattern along the entire length of the glomerular basement membrane, which is their specific antigen. IgG is deposited in the basement membrane, along with complement. There are focal interruptions of the glomerular basement membrane as well, along with deposits of fibrin, as seen with electron microscopy Reference: Robbins & Cotran Pathologic Basis of Disease, 9edition